Which of the following is not included in delusional misidentification syndromes?
1. Capgras syndrome
2. Fregoli syndrome
3. Syndrome of intermetamorphosis
4. Syndrome of objective doubles

Correct answer: 4. Syndrome of objective doubles

Explanation: Delusional misidentification syndromes include the following: a. Capgras syndrome b. Fregoli syndrome c. Syndrome of inter metamorphosis d. Syndrome of subjective doubles